Lead poisoning is characterised by -a) Eosinophilic stippling of WBCb) Normochromic normocytic anaemiac) Hypochromic normocytic anaemiad)↓Fe2+e) Microcytic anaemia
1. a
2. b
3. be
4. ad

Correct answer: 3. be